Occlusion of the common carotid artery on both sides leads to
1. Increase in HR & BP
2. Increase in BP& decrease in HR
3. Decrease in HR & BP
4. No effect on BP & HR

Correct answer: 1. Increase in HR & BP

Explanation: Bilateral carotid occlusion will lead to baroreceptor inhibition and chemoreceptor stimulation, due to reduced pressure on carotid sinus and reduced perfusion of carotid bodies respectively. Both of the effects lead to increased blood pressure and heart rate.